Increasing severity of intellectual disability in male members over generations is a result of:
1. Mitochondrial DNA mutation
2. Frameshift mutation
3. Y-linked disorder
4. Trinucleotide repeat mutation

Correct answer: 4. Trinucleotide repeat mutation

Explanation: Anticipation Increasing severity of disease in successive generations Trinucleotide repeats cause worsening of clinical features with each successive generation.